In which condition, Dapagliflozin is used?
1. Type 1 diabetes
2. Breast cancer
3. Type 2 diabetes.
4. Bladder cancer

Correct answer: 3. Type 2 diabetes.

Explanation: Type 2 diabetes. DAPAGLIFLOZIN An SGLT-2 inhibitor drug of gliflozin class. Used in type 2 diabetes treatment. MECHANISM OF ACTION: Glucose is reabsorbed completely in proximal tubules by sodium-glucose cotransporter-2 . Dapagliflozin acts by inhibiting SGLT-2 transporter.